Unilateral renal agenesis is associated with –
1. Polycystic disease of pancreas
2. Hiatus Hernia
3. Single umbilical artery
4. Hypogonadism

Correct answer: 3. Single umbilical artery

Explanation: Malformations associated with unilateral renal agenesis

Single umbilical artery               
Absent ureter        
Controlateral vesicoureteric reflux
Absent Ipsilateral vas defrens                        

Bilateral renal agenesis

It is incompatible with extrauterine life, death occurs shortly after birth from pulmonary hypoplasia.
It is also known as Potter syndrome.